Which of the following statements on lymphoma is not Trne -
1. A single classification system for Hodgkin's disease (HD) is almost universally accepted
2. HD more often tends to remain localized to a single group of lymph nodes and spreads by contiguity
3. Several types of non Hodgkin's lymphoma (NHL) may have a leukemic phase
4. In general follicular (nodular) NHL has worse prognossis compared to diffuse NHL

Correct answer: 4. In general follicular (nodular) NHL has worse prognossis compared to diffuse NHL

Explanation: Diffuse NHL is high grade NHL & is very aggresive, fatal if untreated & poor prognosis.Follicular NHL is low grade NHL & it has low proliferation rate with 5 yr survival in about 50-70%.

Reference :Davidson's principles & practice of medicine 22nd edition pg 1043.